Protein found in amyloid deposits in senile amyloidosis, except
1. Transthyretin.
2. Beta- amyloid protein
3. Amyloid of prion.
4. AL protein.

Correct answer: 4. AL protein.

Explanation: The biochemical type of protein found in the amyloid deposits in senile amyloidosis are amyloid transthyretin (ATTR), β amyoloid protein (Aβ) and amyloid of prion protein (APrP).